A 4-year-old child presents to the emergence department with fever, malaise, purpura, arthritis and abdominal pain. Among the investigations performed, there is evidence of microscopic hematuria. Most likely cause for these symptoms:
1. IgA nephropathy
2. UTI
3. SLE
4. HSP

Correct answer: 4. HSP

Explanation: Ans. D. HSPHenoch-Schonlein purpura (HSP) is an acute immunologically mediated disorder characterized by a generalized vasculitis involving the small vessels of the skin, the GI tract, joints, kidneys, and sometimes the CNS. Children can typically have abdominal pain, joint pains, fever, and subcutaneous edema. Renal involvement can occur in about 50% patients and usually presents with microscopic hematuria. Treatment is often difficult, although corticosteroids appear to have best evidence of benefits.